which does not include microsomal enzymes
1. cimetidine
2. griseofulvin
3. rifampicin
4. phenobarbitone

Correct answer: 1. cimetidine

Explanation: Ref-KDT 6/e p27-28 cimetidine does not contain microsomal enzymes